A 26 year old female patient presented with oral ulcers, sensitivity to light and rash over the malar area of the face sparing the nasolabial folds of both side. Which of the following indicates the condition associated?
1. Sturge weber syndrome
2. SLE
3. Dermatitis
4. Psoriasis

Correct answer: 2. SLE

Explanation: Option B: Sparing of the Nasolabial folds Butterfly rash Option C: (Heliotrope rash on upper eye lid) Female with B/l Hilar lymphadenopathy: seen in sarcoidosis (lupus pernio) Option D: Silvery scales / plaque Option A: Port wine stain, CNS malformations leads to sepsis